Treatment of Helicobacter pylori are EXCEPT
1. Clarithromycin
2. Cisapride
3. Bismuth subsalicylate
4. Metronidazole

Correct answer: 2. Cisapride

Explanation: (Cisapride) (1124-CMDT- 08) (949-H17th)Helicobacter pylori* Drug of choice - Amoxicillin + Clarithromycin + Proton pump inhibitor (PPI)* Alternative drugs - Bismuth subsalicylate + Tetracycline + metronidazole + PPI